Eversion is
1. Sole of the foot upward
2. Sole of the foot outward
3. Sole of the foot inward
4. Sole of the foot downward

Correct answer: 2. Sole of the foot outward

Explanation: - Eversion - Movement of sole of the foot outward. Foot eversion occurs at subtalar joint by Peroneus longus, Peroneus brevis and Peroneus Teius. - Inversion: Movement of the sole of the foot inward so that the soles face toward each other. Done by Tibialis anterior and Tibialis posterior.Additional information: